Which of the following gene is constitutively expressed in E.coli?
1. Lac A
2. Lac I
3. Lac Y
4. Lac Z

Correct answer: 2. Lac I

Explanation: Genes can be broadly divided into types based on their expression pattern: Constitutively expressed genes Regulated genes House-keeping genes Inducible/repressible Transcribed at a constant level Transcribed depending upon the environmental conditions Eg : Glycolytic enzymes Ribosomal RNA and proteins Eg : UDP-glucuronosyl transferase Lac I gene is constitutively regulated. Lac Z, Lac Y and Lac A genes are regulated by induction/repression.